Hyperbaric oxygen is indicated for
1. Obstructive lung diseases
2. Osteoradionecrosis
3. Cardiac failure
4. Renal diseases

Correct answer: 2. Osteoradionecrosis